A tumour arising in a burns scar is likely to be
1. Basal cell carcinoma
2. Squamous cell carcinoma
3. Malignant melanoma
4. Fibrosarcoma

Correct answer: 2. Squamous cell carcinoma

Explanation: SCC is a malignant tumour of keratinising cells of the epidermis or its appendagesSCC is the second most common form of skin cancer (after BCC)It is strongly-related to cumulative sun exposure and damage SCC is also associated with chronic inflammation (chronic sinus tracts, pre-existing scars, osteomyelitis, burns, vaccination points) and immunosuppression. When an SCC appears in a scar it is known as a Marjolin's ulcer.Ref: Bailey and Love, 27e, page: 605